A teenage girl complained about increased growth of facial hair. Her menstrual cycle is regular and she has normal body weight. Following may be used in treatment of hirsutism, EXCEPT:
1. Spironolactone
2. Flutamide
3. Cyproterone
4. Mifepristone

Correct answer: 4. Mifepristone

Explanation: Mifepristone does not used for hirsutism. Spironolactone is an aldosterone antagonist. It possesses anti androgenic properties and exerts its peripheral antiandrogenic effects in the hair follicle by competing for androgenic receptors and displacing dihydrotestosterone at both nuclear and cytosol receptors. Flutamide is a potent, highly specific, nonsteroidal antiandrogen with no intrinsic hormonal or anti gonadotropic activity. Although the exact mechanism of action is unknown, it competitively inhibits target tissue androgen receptor sites. Cyproterone acetate is the an androgen receptor antagonist. Antiandrogenic effects result from competitive displacement of dihydrotestosterone from its receptor and reduction of 5-reductase activity in the skin. Ref: Guess M.K., Andrew D.E., Gagliardi C.L., Emmi A.M. (2007). Chapter 57. Hirsutism. In A.H. DeCherney, L. Nathan (Eds), CURRENT Diagnosis & Treatment Obstetrics & Gynecology, 10e.